Orange-skin cornea results due to:
1. Chalcosis
2. Siderosis
3. Ammonia burn
4. Mustard gas

Correct answer: 4. Mustard gas

Explanation: Ans. Mustard gas